The antibody which is associated with decreased risk for nephritis in SLE is:
1. Anti-RNP
2. Anti-Sm
3. Anti-Ro
4. Antihistone

Correct answer: 3. Anti-Ro

Explanation: Anti-Ro, and anti La antibodies are associated with low risk for nephritis in SLE.Anti-RNP is not specific for SLE, its high titres are associated with overlap syndromes.Antihistone antibodies are associated with drug induced SLE.Anti-Sm is specific for SLE but it has no definite clinical correlations.Anti-dsDNA Antibodies are highly specific for SLE and it may correlate with disease activity, nephritis, vasculitis.Ref: Harrisons principles of internal medicine, 18th edition, Page: 2726.